All are true about glutathione except?
1. It is a tripeptide
2. It converts hemoglobin to methemoglobin
3. It conjugates xenobiotics
4. It scavenges free radicals and superoxide ions

Correct answer: 2. It converts hemoglobin to methemoglobin